Genu of internal capsule carries
1. Optic radiation
2. Corticospinal tract
3. Corticorubral tract
4. Corticonuclear tract

Correct answer: 4. Corticonuclear tract

Explanation: The genu of internal capsule contains corticonuclear and corticospinal fibres for head and neck. It also contains, fibres of superior thalamic radiations and frontopontine fibres. (Ref: Vishram Singh textbook of neuroanatomy second edition pg-166, also refer table 14.1)